Drug of choice for intermediate uveitis ?
1. Atropine
2. Antibiotics
3. Topical steroids
4. Systemic steroid

Correct answer: 4. Systemic steroid

Explanation: Ans. is 'd' i.e., Systemic steroids Drugs used in acute anterior uveitis (iridocyclitis) Topical steroids (Drugs of choice) Mydriatic - cycloplegics: Atropine (Drug of 2" choice), Homatropine, cyclopentolate, tropicamide, rnydricain (mixture of atropine, adrenaline & procaine) Systemic steroids NSAIDs Systemic immunosuppressives cyclosporine, methotrexate, cyclophosphamide Intermediate uveitis Systemic steroids are the drug of choice Posterior uveitis (choroiditis) Systemic steroids are the drug of choice